Which is not an indication for walking bleach:
1. Discolouration of the pulp chamber.
2. Defective enamel formation.
3. Dentin discolouration.
4. None.

Correct answer: 2. Defective enamel formation.